Hepatitis A virus is best diagnosed by -
1. IgM antibodies in serum
2. Isolation from stool
3. Culture from blood
4. Isolation from bile

Correct answer: 1. IgM antibodies in serum

Explanation: HAV best diagnosed by demonstration of IgM antibody in serum REF:
ANATHANARAYANAN MICROBIOLOGY NINTH EDITION PAGE.542